Which of the following is poor prognostic factor in a child with ALL?
1. Age 2-8 yrs
2. Total leucocyte count < 50,000
3. t (9;22); t (4;11); t (1;19)
4. Absent blasts in peripheral smear

Correct answer: 3. t (9;22); t (4;11); t (1;19)

Explanation: Specific chromosomal translocations in ALL,including t(8;14,associated with Burkitt leukemia),t(4;11) in infant leukemia,t(9,22)translocation that forms the Philadelphia chromosome,t(1,19) translocation associated with probable CNS relapse,are associated with a poor prognosis.The age group of 2-10 yrs have satisfactory prognosis.Other good prognostic factors include initial WBC count <50,000 and absence of blasts in peripheral smear following response to treatment with prednisone. t (9:2), t (8:14), t (4:11) is a poor prognostic factor . Reference:Essential pediatrics-Ghai,8th edition,page no:601